Secondary hyperparathyroidism are seen in all except -
1. Rickets
2. Osteomalacia
3. Osteoporosis
4. Renal failure

Correct answer: 3. Osteoporosis

Explanation: Primary -Singleadenoma(90%) Multipleadenomas(4%) Nodularhyperplasia(5%) Carcinoma(1%) Secondary -Chronicrenalfailure ,Malabsorption,Osteomalacia'and rickets Tertiary DAVIDSONS PRINCIPLES AND PRACTICE OF MEDICINE 22ND EDITION PAGE NO-769